True for Contre-coup brain injury:
1. Located beneath the area of impact
2. Commoner in stationary head
3. Commoner in moving head
4. Seen in brain only

Correct answer: 3. Commoner in moving head

Explanation: Ans. C i.e. Commoner in moving head Head injuries A Coup injury occurs under the site of impact with an object, and a contrecoup injury occurs on the side opposite the area that was impacted. Coup and contrecoup injuries are associated with cerebral contusions, in which the brain is bruised. Coup and contrecoup injuries can occur individually or together. When a moving object impacts the stationary head, coup injuries are typical, while contrecoup injuries are produced when the moving head strikes a stationary object.